Most common of artery involved in MI
1. LAD
2. RCA
3. LCX
4. Diagonal branch of LAD

Correct answer: 1. LAD

Explanation: Acute occlusion of the proximal left anterior descending (LAD) artery is the cause of 40% to 50% of all MIs and typically results in infarction of the anterior wall of the left ventricle, the anterior two thirds of the ventricular septum, and most of the heart apex; more distal occlusion of the same vessel may affect only the apex. Similarly, acute occlusion of the proximal left circumflex (LCX) artery (seen in 15% to 20% of MIs) will cause necrosis of the lateral left ventricle, and proximal right coronary artery (RCA) occlusion (30% to 40% of MIs) affects much of the right ventricle. (Robbins basic pathology,9th edition,pg no.378)